All are carried through anterolateral system except:
1. Proprioception
2. Temperature
3. Pain
4. Crude touch

Correct answer: 1. Proprioception

Explanation: Ans. A: ProprioceptionAnterolateral system carries:PainThermal sensationsCrude touch and pressure sensations capable only of crude ability on the surface of the bodyTickle and itch sensationsSexual sensationsProprioception is carried in dorsal column-medial lemniscal system